Chronic malnutrition is measured by:
1. Weight/height
2. Height/age
3. Weight/age
4. Mid arm circumference

Correct answer: 2. Height/age

Explanation: Ans. (b) Height/ageRef: Nelson's Pediatrics 18th ed. Ch 43The nutritional indices commonly calculated for young children are:* Weight for height - an index used to measure wasting or acute malnutrition; (WHAM)* Height for age - an index used to measure stunting or chronic malnutrition; (HA-CM)* Weight for age - an index used to measure underweight (or wasting and stunting combined). (WASW)* Mid arm circumference is a specific indicator of wasting or acute malnutrition.Remember:* Weight reflects only present health status of the child, whereas height indicates events in the past also* Most sensitive measure of physical growth- WEIGHT* Single best parameter for assessment of physical growth- WEIGHT